Which type of malignancy is found in anorectal fistulaa) Sq. cell Cab) Transitional Cell Cac) Adeno Cad) Columnar Ca
1. a
2. bc
3. ac
4. b

Correct answer: 3. ac

Explanation: • MC type of carcinoma to arise in fistula-in-ano: Colloid carcinoma (44%) > Squamous cell carcinoma (34%) > Adenocarcinoma (22%)
• Clue to early diagnosis is the appearance of mucin globules in Fistulotomy or fistulectomy specimens